A patient presented with unilateral proptosis which was and increases on bending forward. No thrill or bruit was present. MRI shows a retroorbital mass with enhancement. The likely diagnosis is -
1. AV malformations
2. Orbital encephalocoecle
3. Orbital varix
4. Neurofibromatosis

Correct answer: 3. Orbital varix

Explanation: All are features of Orbital varix. Other circulatory disorders causing unilateral proptosis : angioneurotic edema, Orbital aneurysm. Ref: AK Khurana 6thE pg404 Img ref